Oral lesions in Immunocompromised state -
1. Lichen planus
2. Lichenoid eruption
3. Oral hairy leukoplakia
4. Erythroplakia

Correct answer: 3. Oral hairy leukoplakia

Explanation: Oral hairy leukoplakia appears as corrugated white plaques running vertically on the side of the tongue & is virtually pathognomic of HIV disease.It is usually asymptomatic & is due to EBV . Reference Harrison20th edition pg 879